Heme is converted to bilirubin mainly in:
1. Kidney
2. Liver
3. Spleen
4. Bone marrow

Correct answer: 3. Spleen